All are true about Parapharyngeal abscess, except
1. Midline swelling
2. Abscess in pharyngomaxillary space
3. Trismus
4. Torticollis

Correct answer: 1. Midline swelling

Explanation: It is the abscess of pharyngomaxillary or lateral pharyngeal space. Parapharyngeal space is pyramidal in shape with its base at the base of the skull and its apex at the hyoid bone. Clinical features depend on the compartment involved. Anterior compartment infections produce a triad of symptoms: (i) prolapse of tonsil and tonsillar fossa, (ii) trismus and (iii) external swelling behind the angle of the jaw. Posterior compartment involvement produces (i) bulge of the pharynx behind the posterior pillar, (ii) paralysis of CN IX, X, XI, and XII and sympathetic chain, and (iii) swelling of the parotid region. There is minimal trismus or tonsillar prolapse. Fever, odynophagia, sore throat, torticollis (due to spasm of prevertebral muscles) and signs of toxaemia are common to both compartments. (Ref: Diseases of ENT, PL Dhingra 7th edition, page 301)